Ideal temperature to preserve the body for a post mortem is
1. 0 degrees
2. 4 degrees
3. 10 degrees
4. - 4 degrees

Correct answer: 2. 4 degrees

Explanation: The ideal temperature for keeping a dead body for autopsy is 4degC. To keep a body for long duration for other purposes the temperature is -20degC. Ref: FORENSIC MEDICINE AND TOXICOLOGY Dr PC IGNATIUS THIRD EDITION PAGE 42